All are true about Embolic Arterial occlusion except?
1. No previous history
2. Muscles are unaffected
3. Pulse is absent
4. Anaesthesia is present

Correct answer: 2. Muscles are unaffected

Explanation: Ans. is 'b' i.e., Muscles are unaffected In venous occlusion muscles are not affected.